Negri bodies, which are pathognomonic of Rabies, are commonly found in which of the following cells?
1. Anterior horn motor neurons of the spinal cord
2. Purkinje cells of the cerebellum
3. Microglial cells
4. Ependymal lining cells

Correct answer: 2. Purkinje cells of the cerebellum

Explanation: Rabies Severe encephalitis transmitted to humans by the bite of a rabid animal, usually a dog or various wild mammals. Microscopically, there is widespread neuronal degeneration and an inflammatory reaction that is most severe in the brainstem. Negri bodies, the pathognomonic microscopic finding, are cytoplasmic, round to oval, eosinophilic inclusions found in pyramidal neurons of the hippocampus and Purkinje cells of the cerebellum, sites usually devoid of inflammation. Rabies virus can be detected within Negri bodies by ultrastructural and immunohistochemical methods.